All of the following are features of brain tumor except:-
1. Pin point pupil
2. Seizures
3. Headache
4. Focal neurological deficit

Correct answer: 1. Pin point pupil

Explanation: Three cardinal symptoms of brain tumor: Seizures, Raised ICT & focal neurological deficit. BRAIN TUMOR Raised ICT leads to headache (worse in morning & strainingQ, associated with nausea & vomiting) FND: Progressive over time, characteristic of locationQ